Bevacizumab is?
1. Monoclonal antibody against VEGF
2. Anti-IL-2 monoclonal antibody
3. Monoclonal antibody against FGFR
4. Monoclonal antibody against EGFR

Correct answer: 1. Monoclonal antibody against VEGF

Explanation: ANSWER: (A) Monoclonal antibody against VEGFREF: Goodman Gillman's 11th ed p. 915See APPENDIX-34 below for "FDA approved monoclonal antibodies'1BEVACIZUMAB: Bevadzumab (AVASTIN) targets the vascular-endothelial growth factor (VEGF) and inhibits its interaction with the VEGFR1 and VEGFR2 receptors. VEGF is an angiogenic growth factor that regulates vascular proliferation and permeability and inhibits apoptosis of new blood vessels.Use: Bevadzumab is FDA approved for metastatic colorectal cancer in combination with 5-FU. Side effects: Hypertension, pulmonary hemorrhage, gastrointestinal perforation, proteinuria, congestive heart failure. APPENDIX - 34FDA Approved Monoclonal AntibodiesAntibodyTypeTargetIndication(What it's approved to treat)AbciximabchimericInhibition of glycoprotein Ilb/IIIaCardiovascular diseaseAdalimumabhumanInhibition of TNF-tz signallingSeveral auto-immune disordersAlemtuzumabhumanizedCD52Chronic lymphocytic leukaemiaBasiliximabchimericIL-2Rc; receptor (CD25)Transplant rejectionBevacizumahhumanizedVascular endothelial growth factor (VEGF)Colorectal cancer, Age related macular degeneration (off-label)CetuximabchimericEpidermal growth factor receptorColorectal cancer, Head and neck cancerCertolizumab pegolhumanizedInhibition of TNF-cr signallingCrohn's diseaseDaclizumabhumanizedIL-2Rcr receptor (CD 2 5)Transplant rejectionEcuiizumabhumanizedComplement system protein C5Paroxysmal nocturnal hemoglobinuriaEfalizumabhumanizedCDllaPsoriasisGemtuzumabhumanizedCD33Acute myelogenous leukaemia (with calicheamicin)IbritumomabtiuxetanmurineCD20Non-Hodgkin lymphoma (with yttrium- 90 or indium-111)InfliximabchimericInhibition of TNF-cr signallingSeveral autoimmune disordersMuromonab-CD3murineT cell CD3 ReceptorTransplant rejectionNatalizumabhumanizedAlpha-4 (c4) integrin,Multiple sclerosis and Crohn's diseaseOmalizumabhumanizedImmunoglobulin E (IgE)Mainly allergy-related asthmaPalivizumabhumanizedAn epitope of the RSV F proteinRespiratory Syncytial VirusPanitumumabhumanEpidermal growth factor receptorColorectal cancerRanibizumabhumanizedVascular endothelial growth factor A (VEGF-A)Macular degenerationRituximabchimericCD20Non-Hodgkin lymphomaTositumomabmurineCD20Non-Hodgkin lymphomaTrastuzumabhumanizedErbB2Breast cancer